The most common site of hypersensitivity is
1. Cervical
2. Facial
3. Lingual
4. Occlusal

Correct answer: 1. Cervical

Explanation: Cervical hypersensitivity may be caused not only by chemical erosion, but also by mechanical abrasion or even occlusal stresses.